The vaccine administered as "Nose drops":
1. Rubella
2. Poliomyelitis
3. Influenza
4. Measles

Correct answer: 3. Influenza

Explanation: (Influenzae): Ref: (144-Park 20th)INFLUENZA VACCINES(a) Killed vaccine(b) Live attenuated(c) Newer vaccine* Vaccine given subcutaneous route* Gullian Barre syndrome is a side effectsThey may be administered as "nose drops " into the respiratory tractThey stimulate local as well as systemic immunity1. Split - virus vaccine (subvirion vaccine)2. Neuraminidase specific vaccine3. Recombinant vaccineToxic shock syndrome - is adverse effects of Measles vaccine (subcutaneous route) recently adapted for aerosol administration (127-PK)* Rubella vaccine: RA 27/3 vaccine given a single dose subcutaneouslyPregnancy is considered contraindication to rubella immunization